The most common site of osteoma is( REPEAT QUESTION)
1. Maxillary sinus
2. Ethmoidal sinus
3. Frontal sinus
4. Sphenoid sinus

Correct answer: 3. Frontal sinus

Explanation: Most osteomas are asymptomatic and are found incidentally when imaging the sinuses either for sinonasal symptoms or for unrelated complaints. Osteomas are frequently seen elsewhere in the head and neck particularly the mandible and outer table of the skull vault. There is a particular frequency distribution within the paranasal sinuses: frontal sinuses: 80%; ethmoid air cells: ~15%; maxillary sinuses: ~5 %; sphenoid sinus: rare. Osteomas are most commonly seen in the frontal sinus followed in turn by those of ethmoid and maxillary. They may remain asymptomatic, being discovered incidentally on X rays. Treatment is indicated when they become symptomatic, causing obstruction to the sinus sodium, formation of a mucocele, pressure symptoms due to their growth in the orbit, nose or cranium. (Ref: Textbook of Diseases of ENT, PL Dhingra, 7th edition, pg no. 231)